Enchondral ossification is/are seen in-
1. Long bones
2. Flat bones of skull
3. Clavicle
4. Mandible

Correct answer: 1. Long bones

Explanation: Endochondral (enchondral) ossification → long bones, vertebrae, pelvis, skull base bones.
Intramembranous ossification → Skull vault, maxilla, most of mandible, and clavicle.